33-years-old alcoholicon ATT presents with increased serum iron & increased transferrin saturation. Diagnosis?
1. Iron deficiency anemia
2. Sideroblastic anemia
3. Megaloblastic anemia
4. Anemia of chronic disease

Correct answer: 2. Sideroblastic anemia

Explanation: Ans. (b) Sideroblastic anemia(Ref: Wintrobe's 12th/pg 847-848)This is an Alcoholic patient on Anti TB drugs (isoniazid, pyrazinamide) who presents with features of iron overload on iron studies (increased serum iron & increased transferrin saturation). These features are suggestive of sideroblastic anemia.